All of the following statements about Sternberg Canal are true, Except -
1. Located anterior and medial to Foramen Rotundum
2. Located posterior and lateral to Foramen Rotundum
3. Represents persistant craniopharyngeal canal
4. Cause of intrasphenoidal meningocele

Correct answer: 2. Located posterior and lateral to Foramen Rotundum

Explanation: Sternberg's canal (persistent lateral craniopharyngeal canal) 

Originally described by Sternberg in 1888 and was reported to be constantly present in children at the age of 3-4 years. He described an incidence of 4% in adults. (Persistent vestiges have been reported in upto 30% of adults).
It is caused by incomplete fusion of greater wing of sphenoid with presphenoid at a point where primordial sphenoid portions fuse.
It lies anterior and medial to foramen rotadum in parasellar region in middle cranial fossa.
It can communicate with sphenoid sinus, pterygopalatine fossa, nasopharynx, or pass right through the bone to emerge at the base of the skull.
Clinically Sternberg's canal is important as it is clinically associated with:- 


Infection to sphenoid sinus or cranial fossa.
Congenital intrasphenoid meningocele (& encephalocele).
Lateral sphenoidal sinus 'spontaneous' CSF leak.